Case finding in RNTCP is based on?
1. Sputum culture
2. Sputum microscopy
3. X-ray chest
4. PCR antibody detection

Correct answer: 2. Sputum microscopy

Explanation: Ans. is 'b' i.e. Sputum microscopy Sputum smear examination by direct microscopy is the method of choice for case detection. Two sputum samples are collected.